Denaturation of double stranded DNA involves
1. It gets broken down to nucleotides
2. It becomes single stranded reversibly
3. It becomes single stranded irreversibly
4. It becomes double stranded irreversibly

Correct answer: 2. It becomes single stranded reversibly